Lockwood repair is done in
1. Appendicitis
2. Femoral hernia
3. Deep vein thrombosis
4. Sigmoid volvulus

Correct answer: 2. Femoral hernia